Characteristic of Guillain-Barre syndrome is:
1. Profouund sensory loss
2. Loss of limb reflex
3. Residual paralysis
4. Descending paralysis

Correct answer: 2. Loss of limb reflex

Explanation: Ans. B: Loss of limb reflex